The incisal edge edge of maxillary central incisor in a 21 year old man is chipped off during a fall. He is informed that the tooth will erupt a little. This compensatory tooth movement is because of increased deposition of
1. Dentin
2. Pulp
3. Cementum
4. Periodontal ligament

Correct answer: 3. Cementum